The capsule of the crystalline lens is thinnest at -
1. Anterior pole
2. Posterior pole
3. Equator
4. None

Correct answer: 2. Posterior pole

Explanation: The lens capsule is thickest at pre-equator regions (14u) and thinnest at the posterior pole (3u).